Most common cause of death in primary amyloidosis is?-
1. Respiratory failure
2. Cardiac failure
3. Renal failure
4. Septicemia

Correct answer: 2. Cardiac failure

Explanation: Reference :Robbins basic pathology 9th edition pg no 158: Cardiac arrythmias are an important cause of death in Cardiac amyloidosis.in one large series 40% of the patients with AL amyloid died of cardiac disease